Diaphyseal aclasis is
1. Multiple enchondromatosis
2. Multiple hemagioma
3. Multiple osteoid osteoma
4. Multiple exostosis

Correct answer: 4. Multiple exostosis

Explanation: Hereditary multiple osteochondromas (HMO) also known as Hereditary multiple exostoses is a disorder characterized by the development of multiple benign
osteocartilaginous masses (exostoses) in relation to the ends of long bones of the lower limbs such as the femurs and tibias and of the upper limbs such as the humeri